All satements are true about papilloedema except-
1. Collection of extra - cellular fluid
2. Disruption of neurofilament
3. Stasis of axoplasmic transport
4. Swelling of the axon

Correct answer: 2. Disruption of neurofilament

Explanation: Though, papilloedema is a neurological emergency, it is not associated with disruption of neurofilament Where as, all the other features are present Collection of extracellular fluid Stasis of axoplasmic transport Swelling of axon Ref AK khurana 6/e p 324